Which of the following statements characterizes idiotypic determinants?
1. They are found in the crystallizable fragment(Fc) of immunoglobulins
2. They are found on protein antigens
3. They can be antigenic
4. They are found in the constant regions of immunoglobulins

Correct answer: 3. They can be antigenic

Explanation: The idiotype is defined as the specific region of the Fab portion of the Ig molecule to which antigen binds. Antibodies against the idiotype portion of an antibody molecule are called anti-idiotype antibodies. The formation of such antibodies in vivo during a normal B cell antibody response may generate a negative signal to B cells to terminate antibody production. Variable regions (VL and VH) constitute the antibody-binding (Fab) region of the molecule. Within the VL and VH regions are hypervariable regions (extreme sequence variability) that constitute the antigen-binding site unique to each Ig molecule.